Detonator cap situated at -
1. Top of the bullet
2. Side of the bullet case
3. Base of the rim
4. None of them

Correct answer: 3. Base of the rim